Which anticoagulant is used when blood is sent for blood culture ?
1. Sodium citrate
2. EDTA
3. Oxalate
4. SPS

Correct answer: 4. SPS

Explanation: Ans. is 'd' i.e., SPS Many different types of bacteria and fungi have been identified as causative agents of septicemia. For this reason, many diverse culture media formulations are available in prepared blood culture bottles. Majority of these media contain 0.03% SPS (Sodium polyanethal sulfonate), a polyanionic anticoagulant, which additionally inhibits complement and lysozyme activity, interferes with phagocytosis and inactivates aminoglycosides. Following important blood culture bottles are there :- i) Brain heart infusion (BHI) with PABA (para-aminobenzoic acid) ii) Brucella broth with 6% sorbitol iii) Brucella broth with 10% sucrose iv) Columbia broth v) Thioglycolate medium vi) Tryptic soy broth